A 70-year-old gentleman met with an accident, he was able to point to pain site and opens eyes when pinched, he is confused and not sure where he is now or how he met with an accident. What will be his minimum GCS
1. 11
2. 10
3. 9
4. 8

Correct answer: 1. 11

Explanation: His GCS would be 11Glasgow Coma ScaleEyes open Spontaneously 4To verbal command 3To painful stimulus 2Do not open 1Verbal Normal oriented conversation 5Confused 4Inappropriate/words only 3Sounds only 2No sounds 1Intubated patient TMotor Obeys commands 6Localises to pain 5Withdrawal/flexion 4Abnormal flexion 3Extension 2No motor response 1Bailey and Love 26e pg: 312